Which of the following enzymes is stable at acidic pH:
1. Pepsin
2. Trypsin
3. Chymotrypsin
4. Carboxypeptidase

Correct answer: 1. Pepsin

Explanation: Ans. A. PepsinPepsin is formed when pepsinogen is activated by hydrochloric acid in the stomach. The optimum pH for pepsin action is 1.6 to 3.2.